Most unpleasant side effect of salbutamol is:
1. Tremors
2. Hypertension
3. Rhinorrhoea
4. Headache

Correct answer: 1. Tremors